Test of historical importance to detect respiration:
1. I-card test
2. Winslow test
3. Magnus test
4. Diaphanous test

Correct answer: 2. Winslow test

Explanation: Ans. Winslow test